HIDA scan is useful in:
1. Acute cholecystitis
2. Meckel's diverticulum
3. Colonic angio-dysplasia
4. Diverticulitis

Correct answer: 1. Acute cholecystitis

Explanation: HIDA Scan: 99mTc hepatobiliary imaging (using iminodiacetic acid compounds), also known as the HIDA scan. is useful in demonstrating an obstructed cystic duct, which is the cause of acute cholecystitis in most patients.